Glutaraldehyde is used for all of the following EXCEPT:
1. Bronchoscope
2. Thermometer
3. Proctoscopes
4. Endoscopic tubes

Correct answer: 2. Thermometer

Explanation: Ref: Textbook of Diagnostic Microbiology, E-book, P 67* High level of disinfectant: 2% glutaraldehyde for 20 minutes for all instruments coming in contact with mucous membrane. Like bronchoscope, proctoscope, endoscopic tubes, etc.* Intermediate level of disinfectant: Phenol or alcohol is used to disinfect thermometer.* Low level of disinfectant: Lysol for floors and fabrics.